The first permanent tooth to appear is:
1. 1st molar
2. Lateral incisor
3. Upper canine
4. 1st premolar

Correct answer: 1. 1st molar

Explanation: Ans: A (1st molar) Ref: The Essentials of Forensic Medicine and Toxicology by KS Narayan Reddy. 29th edition. 2010.Explanation:Appearance of temporary teeth:Lower central incisor (6 mths)Upper central incisor (7 M)Upper lateral incisor (8 M)Lower lateral incisor (9 M)1 st molar ( 1 yr)Canine (1 1/2 yr)2nd molar (2 yr)Appearance of permanent teeth:1st molar (6 yr)Central incisors (7 yr)Lateral incisors (8 yr)1st premolar (9 vr)2nd premolar (10 yr)Canine (11 yr)2nd molar (12-14 yr)3rd molar (17-25 yr)